Which of the following is the indication of cryotherapy
1. Vasomotor rhinitis
2. Hemoangioma
3. Epistaxis
4. All the above

Correct answer: 4. All the above

Explanation: Benign vascular tumours: Cryotherapy has been found useful to treat haemangiomas Premalignant lesions: Leukoplakia, involving the cheek, tongue, floor of mouth, has been effectively treated by cryotherapy. Malignant lesions: Skin cancers like Bowen disease (intraepithelial carcinoma) and basal cell carcinoma have been treated successfully with a cure rate of 94-97%. Other uses: used in allergic rhinitis to control sneezing and rhinorrhoea. Re: Textbook of ENT, Dhingra; 6th edition; Pg no: 360